The following are preventable risk factors for dementia
1. Hypertension
2. Apo E4
3. Age
4. Lowered Homocysteine

Correct answer: 1. Hypertension

Explanation: Many risk factors for dementia have been identified in recent years, most of which are common, and several are associated with both AD and VaD, as well as with atherosclerosis.These include age, hypertension, diabetes mellitus, dyslipidemia, hyperhomocysteinemia, obesity, smoking, coronary artery disease, and low level of education and occupational attainment. It is important to note that many of these risk factors seem to exert their critical effects already in midlife In senescence, the changes mayhave disappeared. Most elderly are not overweight any more, have stopped smoking (if they ever did), and even their cholesterol levels are lower than they have ever been. It is important to realize that an interaction exists between these factors. Ref Harrison20th edition pg 2297